All are injuries of lower end of radius except
1. Smith's fracture
2. Colle's fracture
3. Night stick fracture
4. Barton's fracture

Correct answer: 3. Night stick fracture

Explanation: C i.e. Night stick fracture